Which of the proteins connect Z lines to M lines?
1. Nebulin
2. Actin
3. Myosin
4. Titin

Correct answer: 4. Titin

Explanation: It is the largest protein.
It binds Z lines to M lines
It prevents overstretching of sarcomere